Mark the false statement regarding Mitochondrial DNA
1. 1% of cellular DNA,13 proteins of respiratory chain
2. Dont show heteroplasmy
3. AGA and AGG are stop codon in mitochondrial DNA
4. Kearne Sayre Syndrome is a large deletion in mitochondrial DNA

Correct answer: 2. Dont show heteroplasmy

Explanation: Mitochondrial DNA 1% of cellular DNA , 16569 base pairs , 13 proteins of respiratory chain Maternal inheritance. This peculiarity exists because ova contain numerous mitochondria within their abundant cytoplasm, whereas spermatozoa contain few Shows heteroplasmy AGA and AGG are stop codon in mitochondrial DNA Complement of the zygote is derived entirely from the ovum Mothers transmit mtDNA to all their offspring, male and female Daughters but not sons transmit the DNA further to their progeny. Deleterious effects primarily on the organs most dependent on oxidative phosphorylation such as the central nervous system, skeletal muscle, cardiac muscle, liver, and kidneys. Diseases are rare and. EXAMPLES: Leber hereditary optic neuropathy, MELAS ; Mitochondrial Encephalopathy, Lactic acidosis and Stroke like episode. Kearne Sayre Syndrome ,is a large deletion in mitochondrial DNA MELAS, MERRF is a mutation of t RNA